ABO antigens are not seen in aEUR'
1. C.S.F.
2. Saliva
3. Semen
4. Sweat

Correct answer: 1. C.S.F.

Explanation: C.S.F. ABO antigens are found in Sal PancreasQ Kidney Liver Semen Sweat Gastric juice Amniotic fluid Lung